Deficiency of which interleukin is associated with Ditra syndrome?
1. IL 26
2. IL 46
3. IL 10
4. IL36

Correct answer: 4. IL36

Explanation: IL-36 is a member of IL-1 family and its activity is regulated due to endogenous receptor antagonist. In case of defect with receptor antagonist, it can lead to GENERALIZED PUSTULAR PSORIASIS and Severe inflammation. This condition is known as DITRA syndrome .